Oblique popliteal ligament is pierced by ?
1. Anterior branch of popliteal artery
2. Medial inferior genicular branch of popliteal artery
3. Medial superior genicular branch of popliteal artery
4. Middle genicular branch of popliteal artery

Correct answer: 4. Middle genicular branch of popliteal artery

Explanation: Ans. is 'd' i.e., Middle genicular branch of popliteal artery Oblique popliteal ligament It is an expansion from the tendon of semimembranosus attachment to intercondylar line of femur.It is closely related to popliteal artery and is pierced by middle genicular vessels and nerve and the terminal part of the posterior division of the obturator nerve.